A child presents with ear infection with foul smelling discharge. On further exploration, a small perforation is found in the pars flaccida of the tympanic membrance. Most appropriate next step in the management would be:
1. Topical antibiotics and decongestants for 4 weeks
2. IV antibiotics and follow up after a month
3. Tympanoplasty
4. Tympano-mastoid exploration

Correct answer: 4. Tympano-mastoid exploration

Explanation: Tympano-mastiod exploration can be done through various procedures: - Canal wall down proceduresAtticotomy, and rarely radical mastoidectomy. - Canal wall up proceduresCortical mastoidectomy